All are causes of postmenopausal bleeding except :
1. Carcinoma in situ of cervix
2. Ca. endometrium
3. Ca. ovary
4. Ca. fallopian tube

Correct answer: 1. Carcinoma in situ of cervix

Explanation: Ans. is a i.e. Carcinoma in situ of cervix Postmenopausal bleeding is defined as bleeding which occurs after 12 months amenorrhea in a middle aged women. Causes of Post Menopausal Bleeding : Exogenous estrogen (H) Endometritis - tubercular, senile pyometra & hematometra Vaginitis - tubercular. candida. chiamydia, senile * Endometrial/cervical polyp Endometrial hyperplasia * Endometrial cancer (Option 13) Cervical cancer * Ovarian cancer (Option V). Uterine sarcoma * Fallopian tube carcinoma DUB - ovulatroy / anovulatory * Injuries - direct trauma / Decubitus ulcer / Foreign body Bleeding from urethera, bladder, rectum which is mistaken for vaginal bleeding. As far as Fallopian tube carcinoma is concerned. Most common age group = 50 - 60 years. Most common symptom Watery discharge which tracks from the tube through the uterus and vagina (hydrops tubal profluens).It is typically colourless, profuse in amount and escapes continuously or in gushes. The discharge ultimately becomes blood stained from ulceration of growth and female presents as post menopausal bleeding. (option "d" is correct). Cervical cancer is a cause of postmenopausal bleeding, but cervical carcinoma in situ which is seen at 25 - 35 years of age is not a cause of post menopausal bleeding. Remember : "ON is most commonly detected in women in their 20's, peak incidence of carcinoma in situ is in women aged 25 - 35, while incidence of cervical cancer rises after the age of 40."